The record of the position of the patients maxillary ridge in relation to the condyles is the
1. Jaw relation
2. Articulator
3. Face bow record
4. Centric jaw relation

Correct answer: 3. Face bow record